Not a posterior mediastinal tumor :
1. Neurofibroma
2. Lymphoma
3. Thymoma
4. Gastroenteric cyst

Correct answer: 3. Thymoma

Explanation: Ans is 'c' ie Thymoma Mediastinum- is situated b/w the lungs in the center of the thorax.It is divided into 3 compartmentsAnterior or Anterosuperior it lies in front of the anterior pericardium & tracheaMiddle mediastinum or Visceral compartment it lies within the pericardial cavity including the tracheaPosterior mediastinum or paravertebral sulci it lies posterior to the post pericardium & tracheaLocations of the common Mediastinal MassesAnterior mediastinumMiddle MediastinumPost. MediastinumThymoma (most common in Ant med.)LymphomaGerm cell tumorsMesenchymal tumorsThyroid & parathyroid massesThymic cystCysts (MC in Mid. Med.)pleuropericardialbronchogenicenterogenousneuroentericVascular masses (aneurysm)Lymph node enlargement (including lymphoma)Mesenchymal tumorsPheochromocytomaMC tumor in middle Mediastinum- LymphomaNeurogenic tumors (MC overall)MeningoceleGastroenteric cystMesenchymal tumorsPheochromocytomaLymphoma